Drug of choice for carriers of diphtheria is ?
1. Penicillin
2. Septran
3. Tetracycline
4. Erythromycin

Correct answer: 4. Erythromycin

Explanation: Ans. is i.e., Erythromycin . Erythromycin is more active than penicillin in the treatment of carriers.